Wof glucocorticoid has significant (max) mineralocorticoid activity
1. Dexamethasone
2. Triamcinolone
3. Hydrocortisone
4. Betamethasone

Correct answer: 3. Hydrocortisone

Explanation: Hydrocortisone (cortisol):- Acts rapidly but has short duration of action. In addition to primary glucocorticoid, it has significant minera- locoicoid activity as well. Uses:- For Replacement therapy, Shock, status asthmaticus, acute adrenal insufficiency. Topically and as suspension for enema in ulcerative colitis. Ref:- kd tripathi;pg num:-288